True about Paliperidone NOT REALTED- PSYCHIATRY
1. It is D2 and 5-HT2A receptor antagonist
2. Used for treatment of schizophrenia
3. Can cause Neuroleptic Malignant Syndrome
4. All are true

Correct answer: 4. All are true

Explanation: Paliperidone is anatypical antipsychotic developedD2and5-HT2A receptorantagonism.Treatment ofschizophreniaSide Effects & Adverse ReactionsThe most common side effects of Invega are reported to be restlessness and extrapyramidal disorder, including involuntary movements, tremors and muscle stiffness.Neuroleptic Malignant Syndrome as a rare, but potentially lethal reaction to the medication.Other risks include:a. Tardive Dyskinesiab. Diabetesc. Hyperprolactinemia